Which one of the following is not a feature of multiple mycloma?
1. Hypercalcemia
2. Anemia
3. Hyperviscosity
4. Elevated alkaline phosphatase

Correct answer: 4. Elevated alkaline phosphatase